Barth syndrome refers to
1. Cardiac tamponade + skeletal myopathy + lymphopenia
2. Dilated cardiomyopathy + skeletal myopathy + neutropenia
3. Restrictive cardiomyopathy + skeletal myopathy + neutrophils
4. Restrictive cardiomyopathy + skeletal myopathy + lymphopenia

Correct answer: 2. Dilated cardiomyopathy + skeletal myopathy + neutropenia

Explanation: Barth syndrome is severe congenital neutropenia along with muscle  weakness and dilated cardiomyopathy.